Commonest type of lung carcinoma is:
1. Large cell carcinoma
2. Bronchioalveolar carcinoma
3. Squamous cell carcinoma
4. Adeno carcinoma

Correct answer: 4. Adeno carcinoma

Explanation: (Adenocarcinoma): Ref: 506-H, 1430-CMDT- 09 (551-H17th)Type of Lung carcinomaHarrison'sCMDT* Adeno carcinoma32%35-40%* Bronchioloalveolar3%2%* Squamous cell (Epidermoid)29%25 - 35%* Small cell carcinoma (oat cell)18%15-20%* Large cell carcinoma9%5-10%* "Pop corn " calcification seen in pulmonary hamartoma* Worst prognosis in small cell lung cancers